Which of the following is the important factor to be considered before attempting to close a midline diastema using a removable appliance?
1. The size of the teeth
2. Age of the patient
3. Vitality of the teeth
4. Amount of overjet

Correct answer: 2. Age of the patient